Features of Reiter's disease are the following except?
1. Arthritis
2. Circinate balanitis
3. Subcutaneous nodules
4. Keratoderma blenorrhagicum

Correct answer: 3. Subcutaneous nodules

Explanation: Reiter's Disease Characterized by presence of non-suppurative polyahritits exceeding a duration of one month associated or preceded closely by a lower urogenital or enteric infection. Observed in young men with HLA B27 antigen. Eye involvement and muco-cutaneous manifestations are common. Most common example of reactive arthritis. Classic clinical triad arthritis, urethritis and conjunctivitis. Muco-cutaneous lesions Keratoderma blenorrhagica Circinate balanitis Management NSAID -mainstay of treatment. Steroids Methotrexate Azathioprine Sulfasalazine